The capsule of the crystalline lens is thinnest at:
1. Anterior pole
2. Posterior pole
3. Equator
4. None

Correct answer: 2. Posterior pole

Explanation: Ans. Posterior pole Lens capsule: Thickest at pre- equator region & thinnest at the posterior pole.